Which of the following is a feature of opioid withdrawal?
1. Tremors
2. Goose flesh
3. Dry nose and mouth
4. Constipation

Correct answer: 2. Goose flesh

Explanation: Ans. B. Goose fleshManifestations of morphine withdrawal -LacrimationSweatingYawningGooseflesh(Piloerection)MydriasisAnxiety & FearRestlessnessInsomniaAbdominal colicDiarrheaDehydrationHypeensionPalpitationRapid weight loss